With reference to RDS, all of the following statements are true, EXCEPT -
1. Usually occurs in infants born before 34 weeks of gestation
2. Is more common in babies born to diabetic mothers
3. Leads to cyanosis
4. Is treated by administering 100% oxygen

Correct answer: 4. Is treated by administering 100% oxygen

Explanation: Ans. is 'd' i.e., Is treated by administrating 100% oxygen Premature infants receiving high concentrations of oxygen may develop retrolental fibroplasias. So generally oxygen tension is kept approximately 90% and not 100%. Treatment of HMO o Neonate should be managed in NICU (neonatal intensive care unit). o Oxygen should be given ? Mild distress --> Without ventilator Moderate distress --> Continuous positive airway pressure (CPAP) Severe distress --> Intermittent mandatory ventilation (IMV) o Intratracheal surfactant therapy is the specific therapy. Its indications are : - i) All neonates less than 28 weeks irrespective of presence or absence of HMD (RDS). ii) Neonates with > 28 weeks with severe respiratory distress. Prenatal : Administration of prenatal glucocorticoids to mother at least 24 hrs prior to delivery in all pregnancies of less than 34 weeks gestation, reduces the risk of HMD.